Which of the following is not used in the treatment of rib fracture?
1. Strapping
2. Analgesic medication
3. Incentive spirometry
4. Chest Physiotherapy

Correct answer: 1. Strapping

Explanation: - Rib Fractures are managed conservatively with Analgesic medications to provide pain-relief & comfort - Strapping should not be done - Chest physiotherapy is also indicated in the form of deep breathing exercises and incentive spirometry. - Mechanical ventilation is indicated in case of pulmonary failure.